Tonsil is formed from
1. Ist Pharyngeal pouch
2. IInd Pharyngeal pouch
3. IIIrd Pharyngeal pouch
4. IV Pharyngeal pouch

Correct answer: 2. IInd Pharyngeal pouch

Explanation: Second Pouch(a) The epithelium of the ventral part of this pouch contributes to the formation of the tonsil.(b) The dorsal part takes part in the formation of the tubotympanic recess.Reference: Inderbir Singh Embryology; 10th edition; Page no: 135